Gamma glutamate carboxypeptidase is linked with absorption of ?
1. Riboflavin
2. Niacin
3. Folic acid
4. Pyridoxinel

Correct answer: 3. Folic acid

Explanation: Ans. is 'c' i.e., Folic acidFolic acid or pteroylglutamic acid is a parent compound for a group of substances called folates.Naturally occurring folic acid typically occurs as pteroylpolyglutamate, which is simple folic acid that has been conjugated by gamma peptide linkage with six additional glutamyl units.These pteroylpolyglutamates are hydrolysed to pteroylmonglutamates in the process of intestinal absorption.The small intestinal mucosa contains gamma glutamate carboxypeptidase, a hydrolytic enzyme usually known as folate conjugase, with releases monglutamic folate, which is rapidly absorbed from the upper small intestine. Thus gamma glutamate carboxy peptidase is involved in the absorption of folic acid.